All of the following factors are associated with adverse prognosis and high risk of Renal progression in Lupus Nephritis, Except:
1. High levels of Anti-ds DNA
2. Persistant proteinuria (Nephrotic range > 3gm/day)
3. Hypocomplementenemia
4. Anti LA (SSB)

Correct answer: 4. Anti LA (SSB)

Explanation: Answer is D (Anti -- LA (SSB)) Presence of Anti -- LA (SSB) in SLE suggests concomitant Sjogren's syndrome. In SLE, patients with concomitant Sjogren's syndrome have a lower frequency of glomerulonephritis and a relatively good prognosis Factors associated with Adevrse Prognosis and High Risk of Renal Progression in Lupus Nephritis Demographic Black race Hispanic ethnicity Male gender Extremes of age at onset of SLE Limited access to health care Clinical Hypertension Severe extrarenal (especially neuropsychiatric) lupus activity Failure to achieve remission or marked delay to renal remission Pregnancy Laboratory Nephritic urinary sediment Azotemia Anemia Thrombocytopanea Thrombotic microangiography (with or without anti-phospholipid antibodies) Hypocomplementemia (especially falling levels) High anti- ds DNA (especially rising titres) Persistent severe nephritic syndrome (aherosclerotic and thrombotic diathesis) Renal pathology Contracted kidney size Proliferative glomerulonephritis (WHO class III, IV) Mixed membranous (V) and proliferative (III-IV) glomerulonephritis Cellular crescents (>25% of glomeruli) Fibrinoid necrosis (>25% of glomeruli) Very high activity index Moderate-to-high chronicity index Combinations of active (cellular crescents) and chronic features (interstitial fibrosis) Extensive subendothelial deposits Note: The presence of Anti-RO or Anti-La antibodies in a pregnant woman is associated with a chance of 'neonatal lupus' developing in the infant (1-5%) This may present in the fetus as a congenital heart block or neonatal lupus rash.